Cell bodies of the neurons which carry taste sensation from the anterior 2/3rd of the tongue are located in:
1. Trigeminal nerve ganglion
2. Geniculate ganglion
3. Otic ganglion
4. Superior cervical ganglion

Correct answer: 2. Geniculate ganglion